Diseases which show presence of fibrinoid necrosis are all except ?
1. SLE
2. PAN
3. SABE
4. Diabetic glomerulosclerosis

Correct answer: 4. Diabetic glomerulosclerosis

Explanation: Ans. is 'd' i.e., Diabetic glomerulosclerosis Fibrinoid necrosis Fibrinoid necrosis is special form of necrosis usually seen in immune reactions involving blood vessels. This pattern of necrosis typically occurs when complexes of antigen and antibodies are deposited in the walls of arteries. Diseases with fibrinoid necrosis Malignant hypertension SLE HBV PAN Henoch-scholein purpura Near peptic ulcer Acute rheumatic fever (Aschoff's nodule) ABE Malignancy Rheumatoid arthritis In fibrinoid necrosis, tissue is no deposition. It is a fibrin like matter, which is deposited.